"Myxoma" of Heart commonly arises from:
1. Left ventricl
2. Left atrium
3. Right ventricle
4. Right atrium

Correct answer: 2. Left atrium

Explanation: Left atrium